Diagnostic criterion for infective endocarditis include all except
1. Positive echocardiogram
2. Positive blood culture
3. Raised ESR
4. Positive Rheumatoid factor

Correct answer: 3. Raised ESR

Explanation: Ref Harrison 19 th ed pg 820 Many studies that are not diagnostic--i.e., complete blood count, creatinine determination, liver function tests, chest radi- ography, and electrocardiography--are important in the management of patients with endocarditis. The erythrocyte sedimentation rate, C-reactive protein level, and circulating immune complex titer are commonly increased in endocarditis